Thyroid follicles are lined by which type of epithelium ?
1. Squamous
2. Cuboidal
3. Transitional
4. None

Correct answer: 2. Cuboidal

Explanation: Ans. is 'b' i.e., Cuboidal